In vivax and Ovale malaria, Relapses are due to
1. Bradyzoites
2. Merozoites
3. Hypnozoites
4. Sporozoites.

Correct answer: 3. Hypnozoites

Explanation: Relapse is due to hypnozoites ( resting state) which may reactivate after 2-3 years of malaria.